The most common congenital esophageal anomaly is which of the following?
1. Esophageal atresia
2. Esophageal psuedodiveiculum
3. Congenetal web
4. Schatzki ring

Correct answer: 1. Esophageal atresia

Explanation: The most common congenital esophageal anomaly is esophageal atresia, occurring in about 1 in 5,000 live births. Reference: Harrisons Principles of Internal Medicine, 18th Edition